A village with a population of 10,000 has a bihrate of 36/1000 population. In one year there has been 5 maternal deaths. The MIVIR in this village is-
1. 0.5
2. 5
3. 7.2
4. None

Correct answer: 4. None

Explanation: Ans. is None o Data is inadequate, we cannot calculate MMR in this case. o Because, the examinar has provided us, birth rate (Live birth + sill birth). o But, for calculation of MMR we require live birth rate --> maternal death per 1000 live births.